A couple semen analysis report shows oligospermia. Which of the following can be given to increase sperm count?
1. FSH
2. LH
3. Estrogen
4. Progesterone

Correct answer: 1. FSH

Explanation: Ans. is a, i.e. FSHRef: Novaks p1143In males with oligospermia, pregnancy rates have been improved by administering exogenous FSH. Clomiphene citrate can also benefit to some extent but not as much as FSH.